Which vitamin deficiency leads to collagen breakdown
1. Vitamin C
2. Vitamin A
3. Vitamin E`
4. Vitamin B1

Correct answer: 1. Vitamin C